Which of the glycogen storage disease doesn't affect muscle
1. Type I
2. Type II
3. Type III
4. Type IV

Correct answer: 1. Type I

Explanation: Clinical features : GSD1 a/GSD1 b Short stature - delayed puberty Liver and kidney enlargement Fasting hypoglycemia Hyperlipidemia and hyperuricemia Chronic renal disease Liver adenoma Osteoporosis GSD1b Neutropenia/Neutrophil dysfunction Recurrent infections Inflammatory bowel disease Reference: GHAI Essential pediatrics, 8th edition